Death sentence can be awarded by?
1. First class magistrate
2. Second class magistrate
3. Sessions court magistrate
4. Chief judicial magistrate

Correct answer: 3. Sessions court magistrate

Explanation: ANSWER: (C) Sessions court magistrateREF: Parikh 6th edition page 1.8"The session's court can pass any sentence authorized by law including a sentence of death which is subject to confirmation by high court"